Local Anesthetic first used
1. Procaine
2. Lignocaine
3. Bupivacaine
4. Cocaine

Correct answer: 4. Cocaine

Explanation: Cocaine was the earliest used local anaesthesia(1st time used by Carl Koller in 1884 for occular surgery) cocaine is a naturaly occuring ester linked local anesthetic